Glutathione requires which vitamin to act as antioxidant ?
1. Vitamin E
2. Niacin
3. Vitamin C
4. Vitamin A

Correct answer: 2. Niacin

Explanation: Ans. is 'b' i.e., Niacin